Anesthetic agent of choice as epidural anesthesia in labour is?
1. Lignocaine
2. Bupivacaine
3. Prilocaine
4. Procaine

Correct answer: 2. Bupivacaine

Explanation: ANSWER: (B) BupivacaineREF: Miller 5th ed p.586, Local Anesthesia in dentistry By Paul D. Robinson, Fraser McDonald, Thomas R. Pitt Ford, T. R. Pitt For page 75Combined spinal-epidural (CSE) techniques may be used for analgesia in labour. An epidural needle is sited in the epidural space and a longer small-gauge spinal needle is then passed through it. A small dose of a mixture of bupivacaine and fentanyl is injected through the spinal needle, which is then withdrawn and an epidural catheter passed through the epidural needle.Note: Bupivacaine crosses placenta least readily but sinceit is most cardio toxic, itis contraindicated in pregnancy (Category C); however it is safe as epidural anaesthesia for labour